Which of the following is not true regarding Menetrier's disease ?
1. Diffuse foveolar cell hyperplasia
2. Overexpression of TGF - β
3. Protein losing enteropath.
4. Hypertrophy of rugal folds.

Correct answer: 2. Overexpression of TGF - β

Explanation: It is due to overexpression of TGF - α . ( Transforming growth factor - α)